A twenty year old female patient comes to the clinic with discoloration of the upper right central incisor. This tooth was intact and otherwise asymptomatic.

The most likely cause for the discoloration in this patient would be
1. Pulp necrosis
2. Dental resorption
3. Internal resorption
4. Microleakage

Correct answer: 1. Pulp necrosis